Q. fever is caused by -
1. Coxallia burnetti
2. Ehrlichia sennetsu
3. Rickettsia prowazekii
4. Bartonella-bacilliformis

Correct answer: 1. Coxallia burnetti

Explanation: (A) (Coxiella burnetii) (401-Baveja 4th)Q - fever - is caused by coxiella burnetii (obligate intracellular pathogen).HUMAN INFECTIONS HAVE BEEN TRACED TO -i) Consumption of infected milk.ii) Handling of infected wool.iii) Contaminated soil.iv) Contaminated clothingv) Human beings who inhale aerosols from birth fluids or the placenta of infected animals.Brill - Zinsser disease is associated with - Epidemic typhus.Oroya fever is caused by - Bartonella - bacilliformis.Trench fever is caused by -- Bartonella, quintana.Orientia tsutsugamushi is the causative agent of scrub typhus. The disease is transmitted by trombiculid mite.Weil-Felix reaction is a heterophile agglutination test which detects anti-rickettsial antibodies that cross react with certain non-motile proteus strains 0X19, OX-2 and OX-K. These proteus organisms are used as antigens in weil-felix reaction.